Stagnant hypoxia is seen in
1. COPD
2. Anaemia
3. CO poisoning
4. Shock

Correct answer: 4. Shock

Explanation: Stagnant hypoxia, as its name implies, refers to situations in which blood flow is abnormally low as occurs in shock, syncope or other "low-flow" states. In terms of oxygen transport, decreased blood flow (hypoperfusion) is the primary limitation, and thus, the problem resides with the cardiovascular system Ref: guyton and hall textbook of medical physiology 12 edition page number: 353,354,355